Chronic alcoholism is associated with the development of all of the following liver diseases, EXCEPT:
1. Cirrhosis
2. Fatty degeneration
3. Cholestatic hepatitis
4. Granuloma formation

Correct answer: 4. Granuloma formation

Explanation: Chronic alcoholism result in the formation of three distinctive forms of liver diseases such as hepatic steatosis, alcoholic hepatitis and cirrhosis. Hepatic steatosis refers to the accumulation of lipid droplets within the hepatocytes. It could be either microvesicular or macrovesicular. This process is initially centrilobular but can involve the entire liver in severe cases. Alcoholic hepatitis is characterized by the presence of hepatocyte swelling and necrosis, Mallory bodies, neutrophilic infiltration and fibrosis. Alcoholic cirrhosis is the final and irreversible form of alcoholic liver disease. Ref: Robbins Pathologic Basis of Disease, 6th Edition, Pages 869- 72